Increased uric acid level in plasma is due to
1. Increased purine utilization
2. Decreased purine synthesis
3. Decreased degradation purine
4. Decreased reutilization purine

Correct answer: 4. Decreased reutilization purine

Explanation: Salvage pathway ensures the recycling of purines formed by the degradation of nucleotides.Some reactions will consume PRPP and produce more nucleotides will inhibit the enzymes thus salvage pathway is blocked.Ref: DM Vasudevan - Textbook of Biochemistry, 7th edition, page no: 567